Attachment at hook of hamate -
1. FCR
2. Flexor retinaculum
3. FCU
4. FDP

Correct answer: 2. Flexor retinaculum

Explanation: The hamate :i) The tip of the hook gives attachment to the flexor retinaculum.ii) The medial side of the hook gives attachment to the flexor digiti minimi and the opponens digiti minimi.